Extraluminal Abdominal Calcification in the newborn may be seen in _________
1. Meconium Aspiration
2. Hirschsprung's Disaease
3. Meconium Peritonitis
4. Meconium Plug syndrome

Correct answer: 3. Meconium Peritonitis

Explanation: Extraluminal Abdominal Calcification in the newborn may be seen in Meconium Peritonitis. Reference: GHAI Essential pediatrics, 8th edition